Glaucoma flecken is
1. Acute uveitis due to glaucoma
2. Lens opacity due to glaucoma
3. Retinal detachment due to glaucoma
4. Corneal opacity due to glaucoma

Correct answer: 2. Lens opacity due to glaucoma

Explanation: Vogt's triad may be seen in patients with any type of post congestive glaucoma and in treated cases of acute congestive glaucoma. It is characterized by: _ Glaucoma flecken (anterior subcapsular lenticular opacity), _ Patches of iris atrophy, and _ Slightly dilated non-reacting pupil (due to sphincter atrophy). Glaukomflecken are gray-white epithelial and anterior cortical lens opacities that occur following an episode of markedly elevated IOP , Ref: Khurana; 4th edition; Pg. 230